Eye ball movements are controlled by all of the following cranial nerves except:
1. Optic nerve
2. Abducens nerve
3. Trochlear nerve
4. Oculomotor nerve

Correct answer: 1. Optic nerve

Explanation: Cranial Nerve I: OlfactoryArises from the olfactory epithelium.Functions solely by carrying afferent impulses for the sense of smell.Cranial Nerve II: OpticArises from the retina of the eye.Optic nerves pass through the optic canals and converge at the optic chiasm.Functions solely by carrying afferent impulses for vision.Cranial Nerve III: OculomotorFibers extend from the ventral midbrain, pass through the superior orbital fissure, and go to the extrinsiceye muscles.Functions in raising the eyelid, directing the eyeball, constricting the iris, and controlling lens shape.Parasympathetic cell bodies are in the ciliary ganglia.Cranial Nerve IV: TrochlearFibers emerge from the dorsal midbrain and enter the orbits the superior orbital fissures; innervate the superior oblique muscle.Primarily a motor nerve that directs the eyeball.Cranial Nerve V: TrigeminalThree divisions: ophthalmic (V1), maxillary (V2), and mandibular (V3).Fibers run from the face to the pons the superior orbital fissure (V1), the foramen rotundum (V2), and the foramen ovale (V3).Conveys sensory impulses from various areas of the face (V1) and (V2), and supplies motor fibers (V3) for mastication.Cranial Nerve VI: AbdcuensFibers leave the inferior pons and enter the orbit the superior orbital fissure.Primarily a motor nerve innervating the lateral rectus muscle.Cranial Nerve VII: FacialFibers leave the pons, travel through the internal acoustic meatus, and emerge through the stylomastoid foramen to the lateral aspect of the face.Mixed nerve with five major branches.Motor functions include facial expression, and the transmittal of autonomic impulses to lacrimal and salivary glands.Sensory function is taste from the anterior two-thirds of the tongue.Cranial Nerve VIII: VestibulocochlearTwo divisions - cochlear (hearing) and vestibular (balance).Functions are solely sensory - equilibrium and hearing.Cranial Nerve IX: GlossopharyngealFibers emerge from the medulla, leave the skull the jugular foramen, and run to the throat.Nerve IX is a mixed nerve with motor and sensory functions.Motor - innervates pa of the tongue and pharynx and provides motor fibers to the parotid salivary gland.Sensory - fibers conduct taste and general sensory impulses from the tongue and pharynx.Cranial Nerve X: VagusFibers emerge from the medulla the jugular foramen.The vagus is a mixed nerve.Its sensory function is in taste.Cranial Nerve XI: AccessoryThe spinal root passes upward into the cranium the foramen magnum.The accessory nerve leaves the cranium the jugular foramen.Primarily a motor nerve.Supplies fibers to the larynx, pharynx, and soft palate.Cranial Nerve XII: HypoglossalFibers arise from the medulla and exit the skull the hypoglossal canal.Innervates both extrinsic and intrinsic muscles of the tongue, which contribute to swallowing and speech.